Highest rate of impulse generation is given in:
1. SA node
2. AV node
3. Bundle of HIS
4. Purkinje system

Correct answer: 1. SA node

Explanation: Answer is A (SA Node) The rate of impulse generation/rate of discharge is highest in the SA node. Note: Highest Rate of impulse generation in seen in : SA NodeQ Highest Rate of conduction is seen in : Purkinje SystemQ